All the muscles of the face are supplied by facial nerve, except
1. Levator anguli oris
2. Corrugator supercilii
3. Levator palpebrae superioris
4. Risorius

Correct answer: 3. Levator palpebrae superioris